Maximum radiation dose tolerable tissue is-
1. Hemopoietic tissue
2. Testis
3. Ovary
4. Bone

Correct answer: 4. Bone

Explanation: A bone is a rigid organ that constitutes part of the vertebrate skeleton.
Bones support and protect the various organs of the body, produce red and white blood cells, store minerals, provide structure and support for the body,
and enable mobility.